The EEG cabins should be completely shielded by a continuous sheet of wire mesh of copper to avoid the picking of noise from external electromagnetic disturbances. Such a shielding is called as:
1. Maxwell cage
2. Edison's cage
3. Faraday cage
4. Ohm's cage

Correct answer: 3. Faraday cage

Explanation: C i.e. Faraday Cage